For controlling eclamptic patient with convulsion, which of the following will be used:
1. Mannitol
2. Furosemide
3. Hydralazine
4. MgSO4

Correct answer: 4. MgSO4

Explanation: Ans. (d) MgSO4Ref: D. C Dutta 8th ed./271, Dutta Obs 6/e, 235Medical Management* Seizure treatment# The drug of choice for the control and prevention of convulsions is Pritchards regimen i.e. magnesium sulphate.Also Know* DOC in eclampsia is Labetalol* 2nd DOC in eclampsia is hydralazine